True about celiac disease -a) Villous atrophyb) Crypt hyperplasiac) Infiltration of lymphocytesd) Cryptitise) Superficial layer thinning
1. ab
2. abc
3. acd
4. bcd

Correct answer: 2. abc

Explanation: Characteristic histopathological features in celiac disease are:


Intraepithelial lymphocytosis (Increased numbers of intraepithelial CD8 T lymphocytes).
Crypt hyperplasia
Villous atrophy


Cmyptitis refers to inflammation of an intestinal crypt. It is not a feature of celiac disease. It is seen in Inflammatory bowel disease (CD, UC), diverticular disease, radiation colitis and infectious colitis.